True statement regarding postmortem wounds is:
1. Signs of spurting of arterial blood on the body
2. Firmly coagulated blood in the wounds and tissues present
3. Edges of the wound does not gape
4. Increased activity of enzymes

Correct answer: 3. Edges of the wound does not gape

Explanation: Ans. C: Edges of the wound does not gape Postmortem injury can come from various sources such as deliberate mutilation of a body by a murderer following a homicide, predation by wild animals, or careless handling in the mortuary. After death, the blood stays liquid in the vessels and no longer clots. Careless handling of a cadaver may produce some post-mortem bruising which may need to be distinguished from antemortem bruising. Postmortem injuries can cause confusion over the manner and cause of death. Important findings in postmortem wounds are: No signs of bleeding. While the person is still alive, the blood is circulating and any injuries such as cuts or stabs will bleed and signs of spurting may be seen on the body or clothes. After death, the body usually does not bleed. The edges in postmortem wounds will not gape There will be no clot or a soft clot Diminished/ absent enzyme activity.